All of the following are pneumatic bones except -
1. Maxilla
2. Parietal
3. Ethmoid
4. Mastoid

Correct answer: 2. Parietal